Stem cells are present where in cornea?
1. Limbus
2. Stroma
3. Epithelium
4. Descmet's membrane

Correct answer: 1. Limbus

Explanation: Limbal stem cells (also c/d corneal epithelial stem cells) are stem cells located in the basal epithelial layer of the corneal limbus.